Declaration of Oslo deals with ?
1. Human experimentation
2. Therapeutic abortion
3. Euthnasia
4. Hunger strikers

Correct answer: 2. Therapeutic abortion

Explanation: Ans. is 'b' i.e., Therapeutic abortion